Shortening of 2 mm of axial length of eye ball causes ?
1. 3D myopia
2. 6D myopia
3. 3D hypermetropia
4. 6D hypermetropia

Correct answer: 4. 6D hypermetropia

Explanation: Ans. is. d., 6D hypermetropia Change in axial length can cause refractive error. It is the commonest form of ametropia (both myopia and hypermetropia). In hypermetropia, there is an axial shortening of eyeball. So, image is formed behind the retina. In myopia, there is an axial lengthening of eyeball. So, image is formed in front of the retina. 1 mm change in axial length leads to ametropia of 3D. For example 1 mm shortening in axial length causes hypermetropia of 3D.